Claw hand is seen in all except:
1. Scleroderma
2. Sarcoidosis
3. Leprosy
4. Hurler’s syndrome

Correct answer: 2. Sarcoidosis

Explanation: Claw hand is seen with:

Scleroderma 
Leprosy​
Mucopolysaccharidosis or Hurler's syndrome or Gorgolism​.